Which of the following statements is true regarding digital clubbing?
1. Clubbing always indicates heart disease
2. Clubbing is seen in pulmonary arteriovenous fistula
3. Clubbing is common in cirrhosis of the liver
4. Presence of clubbing warrants a search for sickle cell disease

Correct answer: 2. Clubbing is seen in pulmonary arteriovenous fistula